All the following in the Light's criteria are suggestive of exudative pleural effusion except -
1. Pleural fluid protein : serum protein ratio > 0.5
2. Pleural fluid ADA < 16
3. Pleural fluid LDH : serum LDH ratio >0.6
4. Pleural fluid L DH > two thirds of the upper limitof serum LDH

Correct answer: 2. Pleural fluid ADA < 16

Explanation: Ans. is 'b' i.e.. Pleural fluid ADA <16 Diagnostic criteriao The Light's Criteria Rule is a traditional method of differentiating transudates and exudates that measures serum and pleural fluid protein and LDH.According to the traditional Light's Criteria Rule, if at least one of the following three criteria lie, component tests of the rule) is fulfilled, the fluid is defined as an exudate.o Pleural fluid protein/serum protein ratio greater than 0.5. oro Pleural fluid LDH/serum LDH ratio greater than 0.6 oro Pleural fluid LDH greater than two-thirds the upper limits of the laboratory's normal serum LDH.